All are associated with malignancy except :
1. Down's syndrome
2. Fragile X syndrome
3. Bloom syndrome
4. Fanconi's anaemia

Correct answer: 2. Fragile X syndrome

Explanation: Has been explained (see factors predisposing to childhood leukemia).